Waves present in electroretinogram are all EXCEPT:
1. a wave
2. bwave
3. c wave
4. d wave

Correct answer: 4. d wave

Explanation: ANSWER: (D) d waveREF: Khurana 4th ed p. 489Electroretinogram is composed of:a wave : Rods and Conesb wave : Muller cellsc wave: Pigment epithelium